Following are features of catatonic schizophrenia,except-
1. Mutism
2. Echolalia
3. Waxy flexibility
4. Deep tendon reflexes are increased

Correct answer: 4. Deep tendon reflexes are increased